A tuberculosis patient with only rifampicin resistance will be treated under which category as per RNTCP 2010 guidelines?
1. Cat I
2. Cat II
3. Cat III
4. Cat IV

Correct answer: 4. Cat IV

Explanation: Patients with are not MDR but have any Rifampicin resistance will also be treated with Cat IV regimen (Cat IV regimen is for MDR TB). Ref: